Risk of rubella to fetus is maximum, if the mother is infected in:
1. 6-12 weeks
2. 20-24 weeks
3. 24-28 weeks
4. 32-36 weeks

Correct answer: 1. 6-12 weeks

Explanation: Risk of rubella to fetus is maximum, if the mother is infected in 6-12 weeks. Timing of fetal infection determines the extent of teratogenic effect in fetus Ist 2 months Abnormalities in 65-85% cases, Multiple congenital defects (cataracts, deafness and heart defects) Spontaneous abortion 3rd month of fetal life: 30% to 35% chance of developing a single defect, Deafness ,CHD. During the 4th month 10% risk for a single congenital defect Beyond the 4th month No risk to fetus